X ray appearance of Osteosarcoma are all except
1. Perosteal reaction
2. Codmnans triangle
3. Soap bubble
4. Sun ray appearance

Correct answer: 3. Soap bubble

Explanation: Radilogical features of OGS are Irregular bone destruction with new bone formation Periosteal reaction :Codmans Triangle Refer Maheshwari 6th/e p 239